Which of the following is not seen in middle third fracture of the face?
1. Face lengthening
2. Face shortening
3. Teeth malocclusion
4. CSF rhinorrhea

Correct answer: 2. Face shortening

Explanation: Fracture of the middle third of face may be Le Fort fracture and if it through the middle third of nose it may be Le Fort 2 or Le Fort 3, symptoms of which areFacial swelling and deformityMalocclusion, Epistaxis, Elongated face, Nose block, Diplopia, CSF rhinorrhoea, Infraorbital paraesthesiasRef: Hazarika; 3rd ed; Pg 356